True regarding malathion are all of the following except:
1. Used as a spray
2. Can be used as an alternative to DDT
3. Most toxic of all members of the group
4. Belongs to organophosphorous insecticides

Correct answer: 3. Most toxic of all members of the group

Explanation: Ans. C: Most toxic of all members of the group